Which of the following features are associated with Irritable Bowel Syndrome:
1. Weight loss
2. Anorexia
3. Abdominal distension
4. Blood in stool

Correct answer: 3. Abdominal distension

Explanation: Answer is C (Abdominal distension) Bloating or feeling of abdominal distension is a characteristic feature of Irritable bowel syndrome. Presences of blood in stool, weight loss or anorexia are 'Red Flag' conditions in irritable bowel syndrome. Their presence should raise on alarm that a process other than IBS is operating and should prompt, further investigations to rule out other disease process. "Red flag" conditions in irritable bowel syndrome that suggest possibility of another disease Presence of any of the following calls for further investigation to rule out other disease processes: Fever Weight loss or anorexia Blood in stools Anemia Nocturnal pain Abnormal blood studies Abnormal physical findings Family history of inflammatory bowel Onset in patients>50 years of age disease or malignancy